Runt disease is -
1. Graft rejection
2. Graft versus host reaction
3. Deficient T cell function
4. Complement deficiency

Correct answer: 2. Graft versus host reaction

Explanation: The graft mounts an immune response against the antigens of the host is called graft-versus-host reaction. The main clinical features of the GVH reaction in animals are retardation of growth, emaciation, diarrhea, hepatosplenomegaly, lymphoid atrophy, and anemia. - terminates fatally. This syndrome is called runt disease. Reference:athanarayan & paniker's 9th edition, pg no: 186